IPC 312-316 is for:
1. Criminal abortion
2. Offence against children
3. Offices causing bodily injuries
4. Restraint

Correct answer: 1. Criminal abortion

Explanation: Ans. a. Criminal abortion312 IPCCriminal abortion with consent (3 years imprisonment and if woman is quick 7 years imprisonment)313 IPCCriminal abortion without consent (10 years imprisonment)314 IPCCriminal abortion leading to death (10 years imprisonment and if act is done with her consent then he is punished with life imprisonment)315 IPCIntentionally preventing a child from being born or causing its death after being born alive (10 years imprisonment)316 IPCCausing death of a quick unborn child amounts to culpable homicide (10 years imprisonment)